Osteomeatal complex (OMC) connects-
1. Nasal cavity with maxillary sinus
2. Nasal cavity with sphenoid sinus
3. The two nasal cavities
4. Ethmoidal sinus with ethmoidal bulla

Correct answer: 1. Nasal cavity with maxillary sinus

Explanation: The osteomeatal complex is a narrow anatomical region consisting of:-


Multiple bony structures (middle turbinate, uncinate process, Bulla ethmoidalis).
Air spaces (frontal recess, ethmoidal infundibulum, middle meatus)
Ostia of anterior ethmoidal, maxillary and frontal sinuses → , therefore, connects these sinuses to nasal cavity.